All the following can be used to predict severe acute pancreatitis except -
1. Glassgow score >= 3
2. APACHE II score >= 9
3. CT severity score >= 6
4. C - reactive protein < 100

Correct answer: 4. C - reactive protein < 100

Explanation: On account of difference in the outcome between patients with mild and severe disease, it is important to define that group of patients who will develop severe pancreatitis. Criterias used to determine the severity of acute pancreatitis. Ref : L & B 25/e p1140